Steps in review of patients history during secondary survey of trauma care can be summarised as
1. ABCDE
2. TRIAGE
3. AMPLE
4. None of the above

Correct answer: 3. AMPLE

Explanation: This starts after completion of the primary survey and once initial resuscitative measures have commenced. The purpose of the secondary survey is to identify all injuries and perform a more thorough ‘head to toe’ examination. If possible, it is here that the patient’s history is reviewed. Again, the AMPLE mnemonic from the ATLS group is helpful here.